Most common complication of acute and chronic pancreatitis is:
1. Pancreatic abscess
2. Portal vein thrombosis
3. Pseudocyst
4. Pancreatic head mass

Correct answer: 3. Pseudocyst

Explanation: Pseudocysts occur in up to 10% of patients with acute pancreatitis, and in 20 to 38% of patients with chronic pancreatitis, and thus, they comprise the most common complication of chronic pancreatitis." Ref Schwartz 9/e p1200